The peptide bond has all the following characteristics, EXCEPT:-
1. Covalent in nature
2. Planar in nature
3. Partial double bond character
4. Free to rotate

Correct answer: 4. Free to rotate

Explanation: A peptide bond is a special type of amide bond -Characteristics of peptide bond:- Planar Uncharged Takes part in hydrogen bonding Trans in configuration Rigid, because of partial double bond character - no rotation is possible